Impotant adverse effect of nesiritide is
1. Dysgusea
2. Hypotension
3. Cough
4. Angiodema

Correct answer: 2. Hypotension

Explanation: Ref-Goodman and Gillman 12/e p696 Commonly reported side effects of nesiritide include: asymptomatic hypotension, hypotension, symptomatic hypotension, and increased serum creatinine.